Water lily sign on chest X ray is seen in -
1. Tuberculosis
2. Hydatid cyst
3. Cryptococcosis
4. Aspergillosis

Correct answer: 2. Hydatid cyst

Explanation: Ans. is 4b' i.e., Hydatid cysto Radiological signs of hydatid cyst of lungMeniscus signWater-lilly signCamalote signRising sun signSerpent signEmpty cyst sign